All of the following are true of antrochoanal polyp except -
1. Common in children
2. Single & Unilateral
3. Bleeds on touch
4. Treatment involves Avulsion

Correct answer: 3. Bleeds on touch

Explanation: Nasal bleeding is not a feature of antrochoanal polyp.